In acute inflammation, excessive fluid seepage occurs due to increased permeability of?
1. Venules
2. Capillaries
3. Arterioles
4. Arterioles and capillaries

Correct answer: 1. Venules

Explanation: Postcapillary venules are an important point of interchange between the Lumen of the vessels and the surrounding tissue. Moreover, both vascular leakage and Leukocyte exudation occur preferentially in venules in many types of inflammation.
Increased vascular permeability is the hallmark of acute inflammation.